Surfactant is:
1. Protein
2. Glycoprotein
3. Sphingolipid
4. Alpha palmitoyl lecithin

Correct answer: 4. Alpha palmitoyl lecithin